Which of the following congenital malformations will most predictably result in oligohydramnios?
1. Anencephaly
2. Pyloric stenosis
3. Renal agenesis
4. Tracheoesophageal fistula

Correct answer: 3. Renal agenesis

Explanation: In normal kidney development the kidneys function during the fetal period with the resulting urine contributing to the fluid in the amniotic cavity. When the kidneys fail to develop (renal agenesis), this contribution to the fluid is missing and decreased amniotic fluid (oligohydramnios) results.